Provision of total beds at PHC & CHC is:-
1. PHC 15, CHC 30
2. PHC 4-6, CHC 15
3. PHC 4-6, CHC 30
4. PHC Zero, CHC 30

Correct answer: 3. PHC 4-6, CHC 30

Explanation: - There are no beds at Sub-center level.